Enophthalmos is due to palsy of:
1. Levator palpebrae superioris
2. Superior tarsal muscle
3. Orbitalis muscle
4. Inferior tarsal muscle

Correct answer: 3. Orbitalis muscle

Explanation: Orbitalis muscle The muscle of Muller, or orbitalis muscle, is a thin layer of smooth muscle that bridges the inferior orbital fissure. It is supplied by sympathetic nerves."Its functions are uncertain, but its contraction may possibly produce a slight .forward protrusion of the eyeball."- Gray's AnatomyIts palsy may thus lead to enophthalmos (recession of the eyeball within the orbit)The superior and inferior tarsal muscles are small muscle laminae inserted into the upper and lower eyelids. Both are supplied by sympathetic nerves. The contraction of superior tarsal muscle elevates the eyelid acting as a supplement to the action of levator palpebrae superioris muscle. Mild ptosis seen in Homer's syndrome is the result of interruption of the sympathetic supply to the superior tarsal muscle. Contraction of inferior tarsal muscle during downward gaze pulls the lower lid downwards.Action of Levator palpebrae superioris muscle is elevation of the upper eyelid.